A 9 year old boy with elevated both PT and APTT. What is the diagnosis?
1. Defect in extrinsic pathway
2. Defect in Intrinsic pathway
3. Platelet function defect
4. Defect in common pathway

Correct answer: 4. Defect in common pathway

Explanation: . Defect in common pathway